Acute adrenal insufficiency can present as
1. Acute abdomen with abdominal tenderness, nausea, vomiting and fever
2. Neurologic disease with decreased responsiveness progressing to stupor and coma
3. Hypovolemic shock
4. All of the above.

Correct answer: 4. All of the above.

Explanation: Ans. is 'd' i.e., All of the above Presentation in Acute Adrenal Insufficiency* Acute adrenal insufficiency usually occurs after a prolonged period of nonspecific complaints and is more frequently observed in patients with primary adrenal insufficiency, due to the loss of both glucocorticoid and mineralocorticoid secretion.* Postural hypotension may progress to hypovolemic shock.* Adrenal insufficiency may mimic features of acute abdomen with abdominal tenderness, nausea, vomiting, and fever.* In some cases, the primary presentation may resemble neurologic disease, with decreased responsiveness, progressing to stupor and coma.* An adrenal crisis can be triggered by an intercurrent illness, surgical or other stress, or increased glucocorticoid inactivation (e.g., hyperthyroidism).